A patient gives a history of recurrent oral ulcers. The ulcers are small with a yellow-floor surrounded by an erythematous halo on the lips. He also has multiple, tender nodules on the skin. He most likely has-
1. Behcet's syndrome
2. Herpes labialis
3. Fixed drug eruption
4. pemphigus vulgaris

Correct answer: 1. Behcet's syndrome

Explanation: behctes disease- Chronic relapsing multisystem disease characterised by neutrophilic vascular reaction or vasculitis with progressing course International criteria to diagnose behcets disease Symptom points Ocular lesions recurrent 2 Recurrent aphthous ulcers 2 Recurrent genital ulcers 2 Recurrent skin lesions ( erythemanododsum, papular, pustular,vasculitic) 1 Central nervous system 1 Vascular manifestations 1 Positive patterns test 1 Score >4 is diagnostic of Behcet's disease Fitzpatrick textbook of dermatology page 2568